Choose the most effective drug for mild intestinal amoebiasis and asymptomatic cyst passers
1. Metronidazole
2. Emetine
3. Quiniodochlor
4. Diloxanide furoate

Correct answer: 4. Diloxanide furoate

Explanation: Ref-KDT 6/e p801 Diloxanide is a medication used to treat amoeba infections. In places where infections are not common, it is a second line treatment after paromomycin when a person has no symptoms. For people who are symptomatic, it is used after treatment with metronidazole or tinidazole. It is taken by mouth.